Branching enzyme deficiency is seen in
1. Andersen disease
2. McArdle's syndrome
3. Cori disease
4. Von Gierke disease

Correct answer: 1. Andersen disease

Explanation: Type Name Enzyme Deficiency Clinical Features IV Amylopectinosis, Andersen disease Branching enzyme Hepatosplenomegaly Accumulation of polysaccharide with few branch points Death from heart or liver failure before age 5 Reference: Harper; 30th edition; Table: 18-2; Page no: 179